A multlgravlda with previous 2 normal deliveries presents with unstable Lie of the fetus at 34 weeks Gestation. What could be the most probable cause?
1. Placenta previa
2. Oligohydramnios
3. Uterine anomaly
4. Pelvic tunKtur

Correct answer: 1. Placenta previa

Explanation: Placenta praevia Defined as a placenta located partly or completely in the lower uterine segment.The bleeding is called inevitable or unavoidable haemorrhage as dilatation of internal os inevitably results in haemorrhage (refer pgno:128 Sheila textbooks of obstetrics 2 nd edition)